Which of the following glycolytic enzyme does not catalyze irreversible step ?
1. Hexokinase
2. Phosphoglycerate kinase
3. Phosphofructokinase
4. Pyruvate kinase

Correct answer: 2. Phosphoglycerate kinase

Explanation: Ans. is 'b' i.e., Phosphoglycerate kinaseIrreversible steps are catalyzed by :- Glucokinase / Hexokinase, phosphofructokinase-I, and pyruvate kinase.Reversible steps are catalyzed by :- Phosphohexose isomerase, aldolase, phosphotriose isomerase, glyceraldehyde 3-phosphate dehydrogenase, phosphoglycerate kinase, phosphoglycerate mutase, Enolase.